Most important intracellular cation -
1. Na+
2. K+
3. Ca2+
4. Mg2+

Correct answer: 2. K+

Explanation: Ans. is 'b' i.e., K+ o In ECF, most abundant cation is Na+ and most abundant, anion is Cl-.o On the other hand, in ICF most abundant cation is K+ and most abundant anion is PO4-2 followed by protein.